The cause of death in cyanide poisoning is
1. Anoxic anoxia
2. Anaemic anoxia
3. Histotoxic anoxia
4. Stagnant anoxia

Correct answer: 3. Histotoxic anoxia

Explanation: Anoxic anoxia: caused by a complete lack of oxygen to the brain. It occurs when a person is in an environment without enough oxygen, such as at high altitudes.Anemic anoxia: Anoxia due to anemia is not severe at rest unless hemoglobin deficiency is marked. However anemic patients may have considerable difficulty during exercise due to limited ability to increase oxygen delivery to active site.Histotoxic Anoxia: Hypoxia due to inhibition of tissue oxidative processes occurs due to cyanide poisoning. Cyanide inhibits cytochrome oxidase. Methylene blue or nitrites are used to treat cyanide poisoning.Stagnant Anoxia: Occurs due to slow circulation and is a problem in organs like kidneys and heart during shock. It is also known as hypoperfusion anemia. Ref: Ganong's review of medical physiology, 12th edition(South Asia), page: 621